Parastomal hernia is most frequently seen with:
1. End colostomy
2. Loop colostomy
3. End ileostomy
4. Loop ileostomy

Correct answer: 1. End colostomy

Explanation: Parastomal hernia is most frequently seen with end colostomy. STOMAL COMPLICATIONS MC complication of both end & loop colostomy: Parastomal herniaQ Parastomal hernia is more common in end colostomyQas compared to loop colostomy. Prolapse is more common in loop colostomyQ MC complication of ileostomy: Skin irritationQ MC early complication of ileostomy: Ischemic necrosisQ